Ipsilateral supraclavicular lymphnodes are positive in a patient of Ca Breast. Stage is
1. II
2. III B
3. III C
4. IV

Correct answer: 3. III C

Explanation: According to TNM staging of carcinoma breast ,metastasis to ipsilateral supraclavicular lymphnode with or without axillary or internal mammary involvement is N3c. Stage IIIC is any TN3M0 SRB's Manual of Surgery.Edition -5. Pg no:540